False about brown pigmented stones:
1. Associated with disorders of biliary motility and associated bacterial infection
2. More common in Caucasians
3. Soft and earthy in texture
4. High content of cholesterol and calcium palmitate

Correct answer: 2. More common in Caucasians

Explanation: Ans. (b) More common in Caucasians* Brown stones may happen in disorders of motility + Bacterial infection* MC in ASIANS* Soft and earthy stone.* Content: Ca.Bilirubinate +Ca. Palmitate +Ca Stearate + Cholesterol(Black stone- Insoluble Bilirubin Polymer +Ca. PO4 + Ca. bicarbonate)